Reslizumab used in bronchial asthma is a monoclonal antibody against
1. IL-2
2. IL-3
3. IL-4
4. IL-5

Correct answer: 4. IL-5

Explanation: Mepolizumab & Reslizumab are monoclonal antibodies against IL-5 used in bronchial asthma, which act by inhibiting recruitment of eosinophils.